All of the following fungus are dimorphic, EXCEPT:
1. Histoplasma
2. Cryptococcus
3. Blastomycosis
4. Coccidiodomycosis

Correct answer: 2. Cryptococcus

Explanation: Dimorphic fungi are fungi that can exist as filaments or yeast depending on the conditions of growth. In tissues or cultures at 37 degree celcius they occur as yeast while in soil and cultures at 22 degree celcius they appear as moulds. Examples of dimorphic fungi are Histoplasma capsulatum, Blastomyces dermatitidis, Coccidioides immitis, Paracoccidiodes brasilienis and sporothrix shenckii. Good to know: Most infections causing systemic mycosis are dimorphic. Ref: Textbook of Microbiology,By R. Ananthanarayan, C.K. Jayaram Paniker,7th Edition,Page 610.